Which of the following statements concerning polyhydramnios is true ?
1. Acute polyhydramnios always leads to labor in usual time
2. The incidence of associated malformations is approximately 3%
3. Maternal edema of vulva & lower limbs is rare
4. Complications include placental abruption, uterine dysfunction, and postpartum hemorrhage

Correct answer: 4. Complications include placental abruption, uterine dysfunction, and postpartum hemorrhage

Explanation: Polyhydramnios is an excessive quantity of amniotic fluid. The incidence of associated malformation with it may range upto 15% of all cases Edema of the lower extremities, vulva, and abdominal wall can occur,resulting from compression of major venous systems. Acute polyhydramnios tends to occur early in pregnancy and by definition is accumulation of fluid more than 25 AFI prior to 24 weeks. This as a rule, leads to labor before the 28th week. The most frequent maternal complications are placental abruption, uterine dysfunction, and postpartum hemorrhage.